Endoscopic mucosal resection in Barrett's esophagus results in:
1. Stricture esophagus
2. Peptic ulceration
3. Reflux esophagitis
4. Achalasia cardia

Correct answer: 1. Stricture esophagus

Explanation: Complications of endoscopic therapy in barrett esophagus should be divided into immediate and delayed outcomes. Immediate complications include bleeding and perforation. Delayed complications from ablative therapy include stricture formation.